peak expiratory flow:
1. 400-600 l/min
2. 1200 L/min
3. Both
4. None

Correct answer: 1. 400-600 l/min

Explanation: Peak expiratory flow: it is maximum velocity in L per minute with which air is forced out of lung Ref: G K Pal Textbook of Practical Physiology 4th edition, page number:159